What is the principle of the given test for Urine reducing substance?
1. Cu2+ ions are reduced to Cu+ ions by enediols
2. Cu+ ions are oxidised to Cu2+ ions by enediols
3. Fe2+ ions are reduced to Fe+ ions by enediols
4. Fe+ ions re oxidised to Fe2+ ions by enediols

Correct answer: 1. Cu2+ ions are reduced to Cu+ ions by enediols

Explanation: Ans. A. Cu2+ ions are reduced to Cu+ ions by enediols* This test is Benedicts test. The principle of the test is*Cu2+ions present in Copper sulphate is reduced to Cuprous hydroxide and later to Cuprous oxide by enediols formed from reducing sugar